Nasopharyngeal angiofibromas are most frequently seen -
1. In the second decade
2. In the third decade
3. In the fourth
4. In the fifth and sixth decades

Correct answer: 1. In the second decade

Explanation: Nasopharyngeal angiofibroma is a highly vascular tumor that occurs almost exclusively in adolescent males.